In the human body, which of the following trace elements is next to iron:
1. Ca2+
2. Zn2+
3. Cu2+
4. Selenium

Correct answer: 2. Zn2+

Explanation: After Iron (18mg/day), zinc (11mg/day) comes next in total requirement among trace elements.Followed by manganese and copper.** NA, K, Ca, Cl, Ph, Mg are not trace elements.(ref: OP Ghai 8/e p123)